A good adhesive should possess all of the following EXCEPT:
1. High adherend wetting
2. High contact angle
3. Low contact angle
4. High flow

Correct answer: 2. High contact angle

Explanation: Complete wetting occurs at a contact angle of 0° and no wetting occurs at an angle of 180°.
Thus, the smaller the contact angles between an adhesive and an adherend, the better the ability of the adhesive to flow into and fill in irregularities within the surface of the adherend. The fluidity of the adhesive influences the extent to which these voids or irregularities are filled.
Reference: PHILLIPS’ SCIENCE OF DENTAL MATERIALS, 12th ed page no 26